Nagler reaction detects which among the following?
1. Lecithinase
2. Perfringolysin
3. Cytolysin
4. Hyaluronidase

Correct answer: 1. Lecithinase

Explanation: Ans. (a) Lecithinase Ref Ananthnaraan 7th ed / 238 Nagler's reaction is a neutralization test done for detection of toxin (lecithinase) produced by C. perfringens. b. The alpha toxin of C. perfringens has phospholipase activity and hence, when grown on a medium containing egg yolk phospholipid, the organism can break down this insoluble triglyceride. Phosphoryl choline release is seen as an area of opacity around the bacterial colonies. This is described as being Nagler positive. c. Antitoxin can inhibit a positive response.